Causative organism of which STD has safety pin appearance-
1. LGV
2. Chancroid
3. Syphilis
4. Herpesgenitalis

Correct answer: 2. Chancroid

Explanation: Ans. is 'b' i.e., Chancroid o Causative organisms of two STDs have safety pin (bipolar) appearance:i) Donovanosis or granuloma inguinale - Calymmatobacter granulomatosis.ii) Chancroid - H ducreyi